During spermiogenesis, mitochondrion of spermatid forms which part of the sperm
1. Acrosomal cap
2. Middle piece
3. Axial filament
4. Head of the sperm

Correct answer: 2. Middle piece

Explanation: Nuclear body forms Head of the sperm Golgi body forms Acrosomal cap Mitochondrion forms Middle piece of sperm Microtubules form Axial filament of sperm.